Oral and Nasal capsule of functional growth related to
1. Periosteal matrix
2. Sutural matrix
3. Capsular matrix
4. None of the above

Correct answer: 3. Capsular matrix